A patient Pushpa comes to you in the medicine emergency and you diagnose her to be suffering from severe CHF. You choose a drug 'Z' which is a short term ionotropic agent having selective adrenergic agonistic activity but lacking dopaminergic agonistic activity. What can be 'Z' ?
1. Dopamine
2. Dobutamine
3. Amrinone
4. Salmeterol

Correct answer: 2. Dobutamine